Which of the following antitubercular drugs can cause psychosis ?
1. Ofloxacin
2. Cycloserine
3. Capreomycin
4. Rifampicin

Correct answer: 2. Cycloserine